Which of the following virus is shed in stool ?
1. Herpangina
2. Influenza
3. Varicella
4. Small pox

Correct answer: 1. Herpangina

Explanation: Ans. is 'a' i.e., Herpangina . Amongst the given options only Herpangina is caused by enterovirus (Coxsackie group A) and the diagnosis is made by virus isolation from the lesions or from feces. . All other are respiratory viruses and are shed in respiratory secretions. Common Sites of Isolation of Picornaviruses Enteroviruses Rhinovirus Polio Coxsackie A & B Echo Entero Nose 0 0 0 0 + Throat + + + + + Lower Intestine + + + + 0